True about foramen of bochdalek is
1. Posterolateral gap in diaphragm
2. Anterolateral gap in diaphragm
3. Pleuro-pericardial gap
4. Gap in the muscle fibres

Correct answer: 1. Posterolateral gap in diaphragm

Explanation: A. i.e. Posterolateral gap in diaphragmBochdalek hernia occurs through posterolateral pleuroperitoneal hiatusQ; Morgagnian hernia occurs through retrosternal space of larrey or foramen of morgagni Q